Pigbel is caused by:
1. Echinococcus
2. T. saginata
3. Clostridium perfringens
4. Clostridium tetani

Correct answer: 3. Clostridium perfringens

Explanation: Pigbel is caused by by Clostridium perfringens. C. perfringens produces clinical syndromes as follows: a) Necrotizing enteritis/Pigbel Due to contaminated meat products. Incubation Period- 8-24 hrs. Involves Heat labile enterotoxin but spores are heat resistant. (b) Food poisoning (c) Soft tissue infections (d) Septicemia NOTE Clostridium perfringens causes stormy fermentation of lactose in litmus milk